IQ =20-34 -
1. Severe MR
2. Profound MR
3. Moderate MR
4. Mild MR

Correct answer: 1. Severe MR

Explanation: Ans. is 'a' i.e., Severe MR The Intelligence Quotient (I.Q.) is calculated according to the formula:The WHO classification of mental retardation is based on the concept of IQ and includes the following categories:CategoryIQMild50-70Moderate35-49Severe20-34Profound<20A child with IQ <70 is called mentally retarded.